Morula is how many ceiled -
1. 4
2. 8
3. 12
4. 16

Correct answer: 4. 16

Explanation: Ans. is 'd' i.e., 16 o At about 16 cells stage the blastomeres tightly align by the process of compaction to form a compact ball of cells called morula (mulberry ).o This process of compaction leads to segregation of cells into two groups :Inner cells (inner cell mass)Outer cells (outer ceil mass)o Morula enters uterine cavity 4 days after fertilization.